Which of the following types of pancreatitis has the best prognosis?
1. Alcoholic pancreatitis
2. Gallstones induced pancreatitis
3. Post operative pancreatitis
4. Idiopathic pancreatitis

Correct answer: 2. Gallstones induced pancreatitis

Explanation: The prognosis is best in patients where pancreatitis is caused by a remediable cause such as cholelithiasis. Eradication of gallstones prevents further attacks of pancreatitis.